In vitro fertilization is indicated in:
1. Tubal pathology
2. Uterine dysfunction
3. Ovarian pathology
4. Azoospermia

Correct answer: 1. Tubal pathology

Explanation: IVF was first developed as a means to overcome infertility resulting from irreparable tubal disease as fertilization takes place in fallopian tube.
Now the spectrum of IVF has broadened and is indicated in number of conditions -
In female infertility
• In male infertility:
– When sperm count is < 5 million/ml
– Repeated IUI failure
• Multifactor infertility
• Unexplained infertility